Disability Limitation is part of
1. Primordial prevention
2. Primary prevention
3. Secondary prevention
4. Tertiary Prevention

Correct answer: 4. Tertiary Prevention

Explanation: Disability limitation When a patient reports late in the pathogenesis phase, the mode of intervention is disability limitation. The objective of this intervention is to prevent or halt the transition of the disease process from impairment to handicap. The intervention in disability will often be social or environmental as well as medical. While impairment which is the earliest stage has a large medical component, disability and handicap which are later stages have large social and environmental components in terms of dependence and social cost. Disability prevention Another concept is "disability prevention". It relates to all the levels of prevention: (a) reducing the occurrence of impairment, viz. immunization against polio (primary prevention); (b) disability limitation by appropriate treatment (secondary prevention); and, (c) preventing the transition of disability into handicap (tertiary prevention) The major causes of disabling impairments in the developing countries are communicable diseases, malnutrition, low quality of perinatal care and accidents. These are responsible for about 70 per cent of cases of disability in developing countries. Primary prevention is the most effective way of dealing with the disability problem in developing countries Ref: Park 24th Edition. Pg: 48